Most common site of thrombosis in paroxysmal nocturnal hemoglobinuria
1. Femoral vein
2. Median cubital vein
3. Intra - abdominal veins
4. Saphenous vein

Correct answer: 3. Intra - abdominal veins

Explanation: Intra abdominal veins are the most common site of thrombosis in PNH.